Chronic constipation in children is seen in all A/E –
1. Hirschspring disease
2. Jejunal polyp
3. Hypothyroidism
4. Stricture

Correct answer: 2. Jejunal polyp